A 20 year old young patient has sclerotic lesion at diaphysis, most likely diagnosis
1. Osteosarcoma
2. Ewing's sarcoma
3. Osteoid osteoma
4. Osteochondroma

Correct answer: 3. Osteoid osteoma